Concrete thinking stage of cognitive development?
1. 0-2 years
2. 2-5 years
3. 5-10 years
4. 10-15 years

Correct answer: 3. 5-10 years

Explanation: Ans. is 'c' i.e., 5-10 years Cognitive development stages Children are not little adults. Until they reach the age of 15 or so they are not capable of reasoning as an adult. Jean Piget described four major stages of intellectual (cognitive) development which are related to major development in brain growth. Sensori-motor stage (birth 2 years) Pre-operational stage (2-7 years) Concrete operational stage (7-11 years) Formal operational stage (>11 years)